Which of the following is a monovalent cation that can reverse a digitalis induced arrhythmia ?
1. Digibind antibodies
2. Lignocaine
3. Magnesium
4. Potassium

Correct answer: 4. Potassium